Swimming pool granuloma is caused by -
1. M fortuitum
2. M kansasi
3. M marinum
4. M leprosy

Correct answer: 3. M marinum

Explanation: Ans. is 'c' i.e., M. Marinum * 'Fish tank granuloma', also called 'swimming pool granuloma', is caused by M. marinum.